Riehl’s melanosis involves
1. Face and neck
2. Trunk
3. Extremities
4. Palms only

Correct answer: 1. Face and neck

Explanation: Riehl’s melanosis (pigmented contact dermatitis) involves face and neck